Pseudo rosettes are seen in all except
1. Neuroblastoma
2. Retinoblastoma
3. Medulloblastoma
4. Thecoma

Correct answer: 4. Thecoma

Explanation: Thecomas or theca cell tumors are benign ovarian neoplasms composed only of theca cells. Histogenetically they are classified as sex cord-stromal tumours. They are typically estrogen-producing and they occur in older women (mean age 59; 84% after menopause). Refer Robbins page no 1051